Hemorrhagic cystitis is caused by
1. Cyclophosphamide
2. 6 mercaptounrine
3. 5 flurouracil
4. Busulfan

Correct answer: 1. Cyclophosphamide

Explanation: Refer Katzung 11/e p500 It is a prodrug and is activated BBy hepatic biotransformation to aldophosphamade. One of the degradation products is acrolein that is responsible for hemorrhagic cystitis